A five year old boy presents with precocious puberty and a blood pressure of 130/80 mmHg. Estimation of which of the following will help in diagnosis ?
1. | 17 hydroxy-progesterone
2. | Cortisol
3. | Aldosterone
4. | 11 deoxycortisol

Correct answer: 4. | 11 deoxycortisol

Explanation: Ans. is `d' i.e. | 11 deoxycortisol o At the age of 5-6 years, BP in excess of 115/75 mm Hg is considered as hypeesion (This boy has BP 130/80). o So, the boy in this question has : ? i) Precocious puberty ii) Hypertension o Precocious puberty in male, with salt retention and hypertension, occurs due to deficiency of 11-13 Hydroxylase which catalyzes the conversion of 11 deoxycortisol to cortisol.